Most common cause of the first-trimester abortion is
1. Chromosomal anomalies
2. Infections
3. Rh incompatibilty
4. Cervical incompetence

Correct answer: 1. Chromosomal anomalies

Explanation: Causes of 1st trimester abortion : Genetic factors -50% Endocrine disorders Immunological disorders Infection Unexplained Ref: Dutta Obs 9e pg 153.